Third-generation cephalosporins include all of the following EXCEPT
1. Ceftizoxime
2. Cefoperazone
3. Cefoxitin
4. Cefixime

Correct answer: 3. Cefoxitin

Explanation: Parenteral: Cefotaxime ,Ceftizoxime ,Ceftriaxone ,Ceftazidime, Cefoperazone Oral :Cefixime, Cefpodoxime proxetil ,Cefdinir Ceftibuten, Ceftamet pivoxil ESSENTIALS OF MEDICAL PHARMACOLOGY page no.726